In X-ray right border of mediastinum is formed by all EXCEPT
1. SVC
2. Right atrium
3. Right ventricle
4. Right brachiocephalic veins

Correct answer: 3. Right ventricle

Explanation: Right mediastinal border is formed by right innominate (brachiocephalic) vein, SVC, right atrium, and IVC (IVC may not be visible in PA view).